In psychiatry, personal history does not include:
1. Food preference
2. Academic history
3. Occupational history
4. Marital history

Correct answer: 1. Food preference

Explanation: Ans: A. Food preferenceThough food preference is an important part of personal history elsewhere, it is not as important as the other options in diagnosing psychiatric conditions or planning their management.Components of Personal and Social History: Perinatal history; Childhood history; Educational history; Puberty history; Menstrual and obstetric history; Occupational history; Sexual and Marital history